Bell's palsy patient comes on day 3. Treatment given would be -
1. Intratympanic steroids
2. Oral steroids + Vitamin B
3. Oral steroids + Acyclovir
4. Vitamin B vasodilator

Correct answer: 3. Oral steroids + Acyclovir

Explanation: Most surgeons these days advocate a combination of steroids and antiviral drugs.